Definitive or secondary vitreous is embryologically derived mostly from:
1. Neuroectoderm
2. Mesoderm
3. Surface ectoderm
4. Surface ectoderm and mesoderm

Correct answer: 1. Neuroectoderm

Explanation: Ans. Neuroectoderm